Marfan's syndrome associated with a/e:
1. Retinal detachment
2. Viteroius hemorrhage
3. Ectopic lentil
4. Roth spots

Correct answer: 4. Roth spots

Explanation: Ans. Roth spots